Homogentisate oxidase deficiency causes ?
1. Phenylketonuria
2. Alkaptonuria
3. Methylmalonic aciduria
4. Albinism

Correct answer: 2. Alkaptonuria

Explanation: Ans. is 'b' i.e., Alkaptonuria